A female multipurpose worker does not do -
1. Distribute condoms
2. Malaria suruveillance
3. Birth death statistics
4. Immunisation of mothers

Correct answer: 2. Malaria suruveillance

Explanation: Malaria surveillance is done by health worker male From each village he shall enquire about Presence of any fever cases Whether there was an fever cases in the family in between his fortnightly visit Whether any guest had come to the family and has fever Whether any member of the family who had fever in between his fortnightly visit had left the village (refer pgno:910 park 23rd edition)